In an early carious lesion, the first structure to show evidence of destruction is the
1. Enamel prism
2. Cuticle
3. Interprismatic substance
4. Lamellae

Correct answer: 3. Interprismatic substance